CSF rhinorrhea can be seen in:
1. Lefort 2 fracture.
2. Lefort 3 fracture.
3. Nasoethmoidal fracture.
4. All of the above.

Correct answer: 4. All of the above.